Which of the following statements regarding dyspnoea are True / False? a) Tripod positioned breathing, characterized by sitting with one's hands braced on the knees is indicative of increased airway resistance b) Paradoxical movement of the abdomen a sign of diaphragmatic weakness c) Left atrial failure should be considered when the patient complains of platypnea d) Raynaud's disease may be an indirect clue to the underlying pulmonary hypertension in a patient with dyspnoea e) If the heart rate is >85% of the predicted maximum an abnormality of the cardiovascular system is likely the explanation for dyspnoea
1. c,d,e -True a,b -False
2. a,d,e -True b,c -False
3. a,b,d,e -True c -False
4. a,d -True b,c,e -False

Correct answer: 3. a,b,d,e -True c -False

Explanation: Evidence for increased work of breathing (use of accessory muscles of ventilation, and the tripod position) is indicative of increased airway resistance. Paradoxical movement of the abdomen (inward motion during inspiration), a sign of diaphragmatic weakness. Left atrial myxoma or hepatopulmonary syndrome should be considered when the patient complains of platypnea. Ref: Harrisons Principles of Internal Medicine, 18th Edition, Pages 277-78.